Food poisoning with incubation period of 1-6 hours is most probably caused by
1. H. pylori
2. Salmonella typhi
3. Streptococcus viridans
4. Staphylococcus aureus

Correct answer: 4. Staphylococcus aureus

Explanation: (D) Staphylococcus aureus